Which of the following is false about Takotsubo Cardiomyopathy
1. Due to major catecholamine discharge
2. Lv Contractile dysfunction
3. Presents with acute chest pain
4. Echo never reverts back to normal

Correct answer: 4. Echo never reverts back to normal

Explanation: Echo comes back to normal in two weeks.